Which endocrine disorder is associated with epiphyseal dysgenesis?
1. Hypothyroidism
2. Cushings syndrome
3. Addison's disease
4. Hypoparathyroidism

Correct answer: 1. Hypothyroidism

Explanation: Epiphyseal dysgenesis is characteristic of hypothyroidism.